Fibrinoid necrosis is seen in following except
1. Serum sickness
2. Diabetes mellitus
3. Arthus reaction
4. SLE

Correct answer: 2. Diabetes mellitus

Explanation: Fibrinoid necrosis is a special form of necrosis, visible by light microscopy, usually in immune reactions in which complexes of antigens and antibodies are deposited in the walls of arteries. The deposited immune complexes, together with fibrin that has leaked out of vessels, produce a bright pink and amorphous appearance on H&E preparations called fibrinoid (fibrin-like) by pathologists. it is found in Systemic lupus erythematosus; some forms of glomerulonephritis; serum sickness; Arthus reaction. (Robbins Basic pathology,9th edition.pg no.11)